Allosteric activator of Acetyl CoA carboxylase:
1. Malonyl CoA
2. Acetyl CoA
3. Citrate
4. Biotin

Correct answer: 3. Citrate

Explanation: Citrate